Which of the following is present at the beginning of third week
1. Notochord
2. Primitive streak
3. Mesoderm
4. Neural crest cells

Correct answer: 2. Primitive streak

Explanation: Epiblast cells give rise to several structure 1. Primordial germ cells by end of 2nd week. 2. Endoderm - by 3rd week 3. Mesoderm 4. Ectoderm 5. neural crest cells by IIIrd week. The most characteristic event occurring during the third week of gestation is gastrulation, the process that establishes all three germ layers (Ectoderm, mesoderm, endoderm) in the embryo. Gastrulation begins with formation of the primitive streak on the surface of epiblast. (by End of 2nd week) Epiblast gives us all three germ layers. Notochord is a derivative of mesoderm.